The most likely cause of bi-hilar lymphadenopathy is
1. Histoplasmosis
2. Tuberculosis
3. Sarcoidosis
4. Aspergillosis

Correct answer: 3. Sarcoidosis

Explanation: SarcoidosisChronic multisystem disorder of unknown cause characterized by the accumulation of TH 1lymphocytes and mononuclear phagocytes in various tissues of the body.Non-caseating sarcoid Granuloma in affected organsLungs (90%)Lymph nodesSkinOthersInterstitial lung disease (fibrosis of lung parenchyma)Pleura is involved, in 1-5% cases unilateral pleural effusion Cavitation is rare B/L hilar lymphadenopathy is the hallmark of Sarcoidosis B/L parotid enlargement Erythema nodosum Lupus pernio(purple-blue shiny swollen lesion on nose, cheeks, lips, ears)UveitisRenal hypercalcemia with or without hypercalciuriaAhritisPeripheral neuropathyCor-pulmonale(Refer: Harrison's Principles of Internal Medicine, 18thedition, pg no: 2805-2813)